Which sinus is present over falx cerebelli?
1. Sigmoid sinus
2. Inferior petrosal sinus
3. Straight sinus
4. Occipital sinus

Correct answer: 4. Occipital sinus

Explanation: Occipital sinus is the smallest sinus, situated along the attached margin of falx cerebelli.Straight sinus runs along the line of attachment of falx cerebelli with the tentorium cerebelliInferior petrosal sinus lies in the groove between the petrous temporal bone and clivus of sphenoid.Sigmoid sinus lies between the two layers of dura of posterior cranial fossa.(Ref: Vishram Singh textbook of clinical neuroanatomy, second edition-pg189,191)